Not seen in fingerprints:
1. Loop
2. Circles
3. Whorl
4. Arch

Correct answer: 2. Circles

Explanation: Ans. Circles